Which of the following investigations is not required in Osteosarcoma?
1. MRI
2. Bone marrow biopsy
3. CT chest
4. Bone scan

Correct answer: 2. Bone marrow biopsy

Explanation: A biopsy from the lesion is essential for grading of the tumour but a biopsy from bone marrow is not indicated. Bone scan, CT chest and MR1 femur are important staging investigations for osteosarcoma. Ref: Apley's system of orthopaedics and fractures 8th/185; Pediatric and Adolescent Osteosarcoma By Norman Jaffe, Oyvind S. Bruland, 2009, Page 209; Final FRCR 2B Long Cases: A Survival Guide By Jessie Aw, John Curtis, 2010, Page 165.